Keshan disease is caused due to deficiency of:
1. Selenium
2. Chromium
3. Iodine
4. Iron

Correct answer: 1. Selenium

Explanation: Keshan disease is an endemic cardiomyopathy found in children and young women residing in regions of China where dietary intake of selenium is low ( Ref: Harrison's principle of internal medicine 17th edition, chapter 71.